The histopathologic feature of medullary carcinoma of thyroid is
1. Anaplasia
2. Mitotic figures
3. Psammoma bodies
4. Amyloid stroma

Correct answer: 4. Amyloid stroma